TRUE regarding chi square test is -
1. Null hypothesis is equal
2. Dosen't test the significance
3. Measures the significance of difference between two proportion
4. Tests correlation and regression

Correct answer: 3. Measures the significance of difference between two proportion